All of the following can cause tachycardia except:
1. Fever
2. Exercise
3. Sympathetic nervous system stimulation
4. Parasympathetic nervous system stimulation

Correct answer: 4. Parasympathetic nervous system stimulation

Explanation: Option D: Parasympathetic nervous system stimulation of the heart decreases the heart rate as well as the force of contraction, rate of impulse conduction and blood flow through the coronary vessels. Fever, exercise, and sympathetic stimulation all increase the heart rate.